Atypical antipsychotic with least extrapyramidal side effects
1. Clozapine
2. Risperidone
3. Olanzapine
4. Ziprasdone

Correct answer: 1. Clozapine

Explanation: (A) Clozapine # Clozapine:> The risks of extrapyramidal side effects such as Tardive dyskinesia are much less when compared with typical antipsychotics may be due to Clozapine's anticholinergic effects.> Extrapyramidal symptoms subside somewhat after a person switches from another antipsychotic to Clozapine.